Which of the following is most potent antigen for stimulating both humoral and cell mediated immunity?
1. Adjuvant
2. Proteins
3. Polysaccharides
4. Lipids

Correct answer: 2. Proteins